Diameter of sprue should be:
1. Equal to the thickest portion of wax pattern.
2. Half to the thickest portion of wax pattern.
3. Double to the thickest portion of wax pattern.
4. None of the above.

Correct answer: 1. Equal to the thickest portion of wax pattern.